mood stablizer used in the management of drug induced neutropenia
1. lithium
2. valproate
3. carbamezepine
4. lamotrigine

Correct answer: 1. lithium

Explanation: - Lithium has a narrow therapeutic index - GIT == diarrhea, vomiting - NEUROLOGICAL=== tremor, co ordination - Therapeutic level is 0.8-1.2meq/l - HEMODIALYSIS is the TOC for lithium toxicity - OTHER USES - Anti- suicidal property, used to prevent suicide. - Correct drug induced neutropenia. ref, kaplon and sadock, synopsis of psychiatry, 11 thh edition, pg no. 935